All of the following are legal grounds for Medical Termination of pregnancy, EXCEPT:
1. Rape
2. Failure of contraception
3. Eugenic causes
4. Unmarried female

Correct answer: 4. Unmarried female

Explanation: Ans. is 'd' i.e., Unmarried female The conditions under which a pregnancy can be terminated under the MTP Act. 1971:* There are 4 conditions that have been identified in the Act:a) Medical - Where continuation of the pregnancy might endanger the mother's life or cause grave injury to her physical or mental health.b) Eugenic - Where there is substantial risk of the child being born with serious handicaps due to physical or mental abnormalities.c) Humanitarian - Where pregnancy is the result of rape.d) Failure of contraceptive devices - The anguish caused by an unwanted pregnancy resulting from a failure of any contraceptive device or method can be presumed to constitute a grave mental injury to the health of the mother. This condition is a unique feature of the Indian law and virtually allows abortion on request, in view of the difficulty of proving that a pregnancy was not caused by failure of contraception.